Rickets is due to -a) Loss of calcium in urineb) Increased mobilisation of calcium from bonec) Decreased absorption of calciumd) Loss of phosphate in Urine
1. ab
2. bc
3. bd
4. cd

Correct answer: 4. cd

Explanation: Rickets is a metabolic disorder characterized by deficient mineralization of bone.
Rickets may be due to : -


Vit D deficient → ↓ absorption of calcium (Vit D dependent rickets).
Increased phosphate excretion due to defective reabsorption → Vit D resistant rickets.